Mechanism of action of chloramphenicol is-
1. Preventing binding of t RNA to ribosome
2. Cell wall lysis
3. cessation of peptide chain elongation
4. Inhibiting cell wall synthesis

Correct answer: 3. cessation of peptide chain elongation

Explanation: Tetracyclines are the drugs that bind to 30S ribosomes and inhibit binding of aminoacyl tRNA to ribosomes. Chloramphenicol binds to 50S ribosome and interferes with peptide bond formation and transfer of peptide chain from p site to a site thereby inhibiting polypeptide elongation (Ref : essentials of medical pharmacology by KD Tripathy ) Chloramphenicol binds to 50S subunit--interferes with peptide bond formation and transfer of peptide chain from 'P' site.